Iris cyst are induced by
1. Atropine
2. Pilocarpine
3. Phenylephrine
4. Ecothiopate

Correct answer: 4. Ecothiopate

Explanation: D i.e. Ecothiopate